The diuretic group that does not require access to the tubular lumen to induce diuresis is ?
1. Carbonic anhydrase inhibitor
2. Na-Cl symport inhibitor
3. Mineralocorticoid antagonist
4. Na-K symport inhibitor

Correct answer: 3. Mineralocorticoid antagonist

Explanation: Ans. is 'c' i.e. Mineralocorticoid antagonist Spirinolactone is mineralocorticoid (aldosterone) antagonist. It opposes the action of Aldosterone without requiring access to the tubular lumen. Spirinolactone (as well as aldosterone) act from the interstitial side.